A four-year-old child is diagnosed with Duchenne muscular dystrophy, an X-linked recessive disorder. Genetic anylysis shows that the patient's gene for the muscle protein dystrophin contains a mutation in its promoter region. What would be the most likely effect of this mutation?
1. Tailing of dystrophin mRNA will be defective
2. Capping of dystropin mRNA will be defective
3. Termination of dystrophin transcription will be deficient.
4. Initiation of dystrophin transcription will be deficient

Correct answer: 4. Initiation of dystrophin transcription will be deficient

Explanation: Because the mutation creates an additional splice acceptor site (the 3'-end) upstream of the normal acceptor site of intron 1, the 19 nucleotides that are usually found at the 3'-end of the excised intron 1 lariat can remain behind as part of exon 2. Exon 2 can, therefore, have these extra 19 nucleotides at its 5'-end. The presence of these extra nucleotides in the coding region of the mutant mRNA molecule will prevent the ribosome from translating the message into a normal b-globin protein molecule. Those mRNA for which the normal splice site is used to remove the first intron will be normal, and their translation will produce normal b-globin protein.Ref: Lippincott illustrated review, Sixth edition